Wobble hypothesis-regarding the variation true is
1. 3 - end of anticodon
2. 5 - end of anticodon
3. m-RNA
4. t-RNA

Correct answer: 2. 5 - end of anticodon

Explanation: Degeneracy can be explained by wobble hypothesis i.e. base pairing of 3rd nucleotide of a codon (3’ end) with 1st nucleotide of anticodan at 5’ end doesnot strictly follow watson-crick base pairing rule.